All of the following are WHO recommended Artemisinin-based combination therapy except?
1. Artesunate plus Mefloquine
2. Artesunate plus Quinine
3. Artemether plus Lumefantrine
4. Artesunate plus Pyrimethamine-Sulfadoxine

Correct answer: 2. Artesunate plus Quinine

Explanation: Artemisinin are combined with several antimalarial drugs in ACT but these are not combined with Chloroquine or Quinine. COMBINATION THERAPY: (ACT) Artemisinin + Long acting drug DOC for Chloroquine resisitance Combinations are: (WHO RECOMMENDED) ARTEMETHER + LUMEFANTRINE- DOC in North Eastern States in INDIA ARTESUNATE + SULFADOXINE - PYRIMETHAMINE - DOC for all other states in INDIA ARTESUNATE + MEFLOQUINE ARTESUNATE + AMODIAQUINE DIHYDROARTEMISININ + PIPERAQUINE